What is the treatment of choice for ethmoidal polyps?
1. Functional Endoscopic sinus surgery with polypectomy
2. Intranasal ethmoidectomy
3. Extranasl ethmoidectomy
4. Transantral ethmoidectomy

Correct answer: 1. Functional Endoscopic sinus surgery with polypectomy

Explanation: Ans. is 'a' i.e., Functional Endoscopic sinus surgery with polypectomy Surgical treatment of ethmoidal polyps1) Functional endoscopic sinus surgery (FESS) : Surgery of choice when available.2) Polypectomy : When there are one or two pedunculated polyps.3) Intranasal ethmoidectomy : Indicated when polyps are multiple and sessile.4) Extranasal ethmoidectomy : This is indicated when polyps recur after intranasal procedures.5) Transantral ethmoidectomy : Indicated when infection and polypoidal changes are also seen in the maxillary antrum. In this case antrum is opened by caldwell-Luc approach and the ethmoidal air cells approached through the medial wall of the antrum.